Collecting part of kidney develops from ?
1. Pronephrons
2. Mesonephros
3. Metanephros
4. Ureteric bud

Correct answer: 4. Ureteric bud

Explanation: Ans. is 'd' i.e., Ureteric budDevelopment of kidney Kidneys develop from two sources :Metanephros (metanephric mesoderm or blastema) : It is the lowest part of nephrogenic cord which is derived from intermediate mesoderm. It forms the excretory unit of kidney i.e. glomeruls, proximal convoluted tubule, loop of henle and distal convoluted tubule.Ureteric bud : It arises from lower part of mesonephric duct. It forms collecting part of kidney (pelvis, major calyes, minor calyces, collecting tubules) and ureter.